Principle building block in fatty acid synthesis:
1. Acetyl CoA
2. Palmitoyl CoA
3. Malonyl CoA
4. Oleate

Correct answer: 1. Acetyl CoA

Explanation: Ans. (a) Acetyl CoA* Principle building block in fatty acid synthesis: Acetyl CoA* Cofactors required: NADPH, ATP, Mn2+ and HCO3 * Source of Acetyl CoA: From mitochondria (after aerobic glycolysis and Fatty acid oxidation)* Site of FA synthesis: Liver, Kidney, Brain, Lungs, Adipose tissue, Lactating breast # Organelle: Extra-mitochondrial system in cytosol* Enzyme:# Acetyl CoA carboxylase-rate limiting enzyme# Fatty acid synthase